Air bronchogram is seen in:
1. Lung abscess
2. Lung cavity
3. Pneumothorax
4. Consolidation

Correct answer: 4. Consolidation

Explanation: Ans. Consolidation